Which of the following is not a mechanism for resistance to MRSA
1. Resistance is chromosomally mediated
2. Produced mainly by alteration in PBP's
3. MRSA resitance is absolutely beta lactamase dependent
4. Intrinsic resistance is known

Correct answer: 3. MRSA resitance is absolutely beta lactamase dependent

Explanation: Methicillin-resistant Staphylococcus aureus (MRSA) infection is caused by a type of staph bacteria that's become resistant to many of the antibiotics used to treat ordinary staph infections. Penicillin resistance is of three types: Production of beta-lactamase Alteration in the penicillin-binding protein PBP2a and changes in bacterial surface receptors, reducing binding of beta lactam antibiotics to cells. This resistance also extends to cover beta-lactamase-resistant penicillins such as methicillin and cloxacillins(MRSA). Some of the strains may show resistance to other antibiotics such as erythromycins, tetracyclines, aminoglycosides, and heavy metals and cause outbreaks of hospital infections. Development of tolerance to penicillin Ref: Textbook of Microbiology; Ananthanarayanan and Panicker; Tenth Edition; Page No: 202